Positional vertigo is most commonly seen due to pathology in
1. Lateral semicircular canal
2. Superior semicircular canal
3. Inferior semicircular canal
4. Posterior semicircular canal

Correct answer: 4. Posterior semicircular canal

Explanation: Positional vertigo is commonly due to pathology in the Posterior Semicircular Canal.BPPV is the commonest cause of peripheral vertigoRef: Hazarika; 3rd ed; Pg 105